In concomitant squint:
1. Primary deviation > Secondary deviation
2. Primary deviation < Secondary deviation
3. Primary deviation = Secondary deviation
4. None of the above

Correct answer: 3. Primary deviation = Secondary deviation

Explanation: Concomitant squint is a type of manifest squint in which the amount of deviation in the squinting eye remains constant (unaltered) in all the directions of gaze, and there is no associated limitation of ocular movements. Three common types of concomitant squint are:1. Convergent squint (esotropia)2. Divergent squint (exotropia)3. Vertical squint (hypertropia)